Sprengel's shoulder is due to deformity -
1. Scapula
2. Humerus
3. Clavicle
4. Vertebra

Correct answer: 1. Scapula

Explanation: Congenital high scanula (sprengers shoulder) 

Congenital high scapula is an uncommon congenital deformity characterized by an abnormally high position and relative fixity of scapula.
The anomaly represents a failure of the scapula to descend during development to its normal thoracic position.